Tripeptide used for oxidation-raduction reaction -
1. Creatinine
2. Glutathione
3. Melanin
4. None

Correct answer: 2. Glutathione

Explanation: Ans. is 'b' i.e., Glutathione o Glutathione is a tripeptide0 made up of glutamate, cysteine and glycine (y-glutamyl-cysteiny 1-glycine).o Glutathione is present in all mammalian cells except neurons.o The sulphydryl (-SH) group of cysteine residue0 is the reactive portion of glutathione which can undergo oxidation and reduction.o Thus, glutathione may exist as the reduced (G-SH) or oxidized form (G-S-S-G) and can play a role in some oxidation- reduction reactions.o In oxidized form two molecules of glutathione are linked by disulfide bond.